Which of the following mood stabiliser has anti suicide property?
1. Lithium
2. Carbamazepine
3. Valproate
4. Lamotrigine

Correct answer: 1. Lithium

Explanation: Lithium is a mood stabliser which has been found to decrease the suicidal tendency.